Which of the following is the first sign of puberty in girls?
1. Pubarche
2. Thelarche
3. Menarche
4. Growth spurt

Correct answer: 2. Thelarche

Explanation: Adolescence: Stage of transmission from childhood to adulthood. During this stage, there will be an appearance of sexual characters with changes in cognition and psychology. Adolescence refers to this entire process, puberty refers to the physical aspect. Age 10-19 year is considered as a period of adolescence and puberty marks the early half of adolescence. Puberty in girls starts with breast development( thelarche) anytime between 8-13 years. This is followed by an appearance of pubic hair ( pubarche) and subsequently menstruation ( menarche), occurring at an average of 12.6 years. Menarche occurs after 2-21/2 years of thelarche. In boys, the earliest change is an increase in testicular size( testicular volume reaching 4 ml) and this occurs between 9-14 years. This is followed by an appearance of pubic hair and lengthening of the penis. Spermarche( sperm production) starts during mid-adolescence. Laryngeal growth, manifesting as cracking of voice, begins in boys in mid-puberty, deepening of voice is complete by end of puberty. During puberty, boys gain 20-30 cm and girls 16-28 cm of height. Peak growth velocity in girls occurs before attainment of menarche. Boys have their peak growth in later stages of puberty. Reference: GHAI Essential pediatrics, 8th edition